Risk factors for recurrent febrile seizures include all the following EXCEPT?
1. Age at 1st episode < 18 months
2. Family history of febrile seizures
3. Female gender
4. First seizure at temperature < 40oC

Correct answer: 3. Female gender

Explanation: Risk factors for epilepsy in a child with febrile seizures include: Risk Factors for Recurrence of Febrile Seizures* MAJOR Age < 1 yrDuration of fever < 24 hr Fever 38-39degC (100.4-102.2degF) MINOR Family history of febrile seizures Family history of epilepsy Complex febrile seizure Daycare Male genderLower serum sodium at time of presentation *Having no risk factors carries a recurrence risk of approximately 12%; one risk factor, 25-50%; two risk factors, 50-59%; three or more risk factors, 73-100%.